Color of transition stools:
1. Green
2. Brown
3. Yellow
4. Pale

Correct answer: 1. Green

Explanation: a. Green(Ref: Nelson's 20/e p 63, Ghai 8/e p 134-136)Transitional stools are dark greenish yellow and loose, sometimes 'seedy' in texture.